M.0 cause of liver abscess:
1. Streptococcus
2. Staph'aureus
3. E. coli
4. Staph pyogenes

Correct answer: 3. E. coli

Explanation: Ans. (c) E. coli Remember: E.coli is MC cause of: - intraabdominal abscess - Neonatal meningitis - UTI. Note: Most common manifestation of E. coli : Diarrhea > UTI > Abdominal and pelvic infection